A man presents with vesicles over external acoustic meatus with ipsilateral facial palsy of LMN type. The cause is
1. Herpes zoster
2. Herpes simpex virus-I
3. Varicella
4. None

Correct answer: 1. Herpes zoster

Explanation: RAMSAY HUNT SYNDROME Herpes zoster oticus refers to a syndrome of acute otalgia accompanied by a herpetic, vesicular rash. When accompanied by facial paralysis, the syndrome is known as Ramsay Hunt syndrome.